SLE like syndrome is caused by:
1. Hydralazine
2. Phenytoin
3. Procainamide
4. All of the above

Correct answer: 4. All of the above

Explanation: Ans: dRef: Harrison, 16thed, p. 1967